A 8O year old female present with progressive loss of memory, difficulty in recalling names, difficulty in speech and irritability. Along with neurofibrillary tangles what will be found in brain
1. Beta amyloid
2. Ceramidease
3. Lewy bodies
4. Pick's bodies

Correct answer: 1. Beta amyloid

Explanation: harrison's principles of internal medicine 17th edition. *microscopic findings in alzheimer's disease include neuritic plaques containing A beta amyloid silver staining neurofibrillary tangles in neuronal cytoplasm.